Metabolically active corneal layer is:
1. Epithelium
2. Stroma
3. Descemet's membrane
4. None of the above

Correct answer: 1. Epithelium

Explanation: Ans. Epithelium